In which area hypogastric region of the abdomen is situated?
1. The upper central abdomen directly below the xiphoid
2. The right upper quadrant
3. The left upper quadrant
4. The area immediately above the pubic tubercle

Correct answer: 4. The area immediately above the pubic tubercle

Explanation: The hypogastric region of the abdomen, also known as the suprapubic region, is that area which is immediately above the pubic tubercle. The area surrounding the umbilicus is known as the umbilical region of the abdomen. The upper central abdomen directly below the xiphoid is the epigastric region. Even though these three regions are part of a nine-region abdominal designation, they are most often used in conjunction with the standard four quadrant system of identifying regions of the abdomen - right upper (RUQ), right lower (RLQ), left upper (LUQ), and left lower quadrants (LLQ). Ref: Morton D.A., Foreman K.B., Albertine K.H. (2011). Chapter 7. Anterior Abdominal Wall. In D.A. Morton, K.B. Foreman, K.H. Albertine (Eds), The Big Picture: Gross Anatomy.